True about cause of Lactic Acidosis is that it is mainly caused by intake of:
1. Biguanides
2. Glibenclamide
3. Tolbutamide
4. Chlorpropamide

Correct answer: 1. Biguanides

Explanation: Biguanides